Pro-inflammatory cytokine is
1. IL-1
2. IL-10
3. IL-4
4. IL-13

Correct answer: 1. IL-1

Explanation: Cytokines are polypeptide products of many cell types that function as mediators of inflammation and immune responses The following are the anti-inflammatory cytokines: IL-10 TGF-b IL-4 IL-13 Pro-inflammatory cytokines IL-1 IL-6 TNF-Alpha Other cytokines that are more important in chronic inflammation include (IFN-g) and IL-12 IL-17, produced by T lymphocytes plays an important role in recruiting neutrophils involved in host defence against infections and in inflammatory diseases. ref:-basic pathology robbins 9th ed, page 48